Spinal accessory nerve leave the cranium via
1. Foramen magnum
2. Foramen spinosum
3. Foramen jugulare
4. None

Correct answer: 3. Foramen jugulare